Iron dextran preparations may be used for all the following conditions except
1. Iron deficiency anemia does not responding to oral iron therapy
2. Persistent blood loss
3. Malabsorption related macrocytic anemia
4. Patients on erythropoietin therapy for chronic disease of anemia

Correct answer: 3. Malabsorption related macrocytic anemia

Explanation: Ref Harrison 19 th ed pg 629 Intravenous iron can be given to patients who are unable to tolerate oral iron; whose needs are relatively acute; or who need iron on an ongoing basis, usually due to persistent gastrointestinal blood loss. Parenteral iron use has been increasing rapidly in the last several years with the recognition that recombinant erythropoietin (EPO) therapy induces a large demand for iron--a demand that frequently cannot be met through the physiologic release of iron from RE sources or oral iron absorption. The safety of parenteral iron-- particularly iron dextran--has been a concern. The serious adverse reaction rate to intravenous high-molecular-weight iron dextran is 0.7%. Fortunately, newer iron complexes are available in the United States, such as ferumoxytol (Feraheme),